Influenza virus has ?
1. 5 segments of SS RNA
2. 8 Segments of ds DNA
3. 8 segments of ssDNA
4. 8 segments of ssRNA

Correct answer: 4. 8 segments of ssRNA

Explanation: Ans. is 'd' i.e., 8 segments of ssRNA Influenza virus Belong to orthomyxoviridae - Envelope, RNA virus Contain single stranded RNA which is segmented - 8 pieces